True about generator potential:
1. Graded
2. Follows all or none law
3. Propagated
4. Does not show summation

Correct answer: 1. Graded

Explanation: Generator potentialare graded potentials whose magnitude is propotional to ghe intensity of the stimulus . Graded potentials have different names depending on which type of stimulus causes them and where they occur. For eg, when a graded potential occurs in the dendrites or cell body of a neuron in response to a neurotransmitter, it is called a postsynaptic potential. On the other hand, the graded potentials that occur in sensory receptors are termed receptor or generator potentials. Other examples: end-plate potentials, pacemaker potentials, and slow wave potentials. PROPERTIES OF GRADED POTENTIAL